Lower lung involvement is common in
1. TB
2. Asbestosis
3. Silicoisis
4. All

Correct answer: 2. Asbestosis

Explanation: Asbestosis Involves lesions affecting lower lobes or base of lung